Which of the following ultrasound marker is associated with greatest increased risk for Trisomy 21 in fetus?
1. Echogenic foci in heart
2. Hyperechogenic bowel
3. Choroid plexus cysts
4. Nuchal edema

Correct answer: 4. Nuchal edema

Explanation: Ans. Nuchal edema